Method of autopsy in which various systems organs are removed en masse
1. Ghon
2. Virchow
3. Rokitansky
4. Lettulle

Correct answer: 4. Lettulle

Explanation: METHOD OF REMOVAL OF ORGANS: (I) Virchow's technique: Individual organs are removed one by one. Cranial cavity is exposed first, followed by thoracic, cervical and abdominal organs. Spinal cord is removed from the back. In this the anatomico-pathologic relations are not preserved. (2) Rokitansky's technique: It involves in situ dissection in part, combined with en block removal. It is preferred choice in patients with highly transmissible diseases, such as HTV, hepatitis B. (3) Lettulle's technique: Cervical, thoracic, adbominal and pelvic organs are removed en masse and dissected as organ block. It has the advantage of leaving all attachments intact. (4) Technique: Cervical, thoracic, abdominal organs and urogenital system are removed as organ blocks. Neuronal system is removed as another block. Ref:- k s narayan reddy; pg num:-109